Which of the following vaccine coverage is the highest as per NFHS 3?
1. BCG
2. Measles
3. DPT
4. None of the above

Correct answer: 1. BCG

Explanation: BCG 78% Polio 3 doses 78% DPT 3 doses 55% Measles 59% Ref: National Health Programmes in India, J.Kishore, 10th edition pg: 44